Kerion is seen in :
1. Pityriasis
2. Dermatophytosis
3. Candidiasis
4. Trichomoniasis

Correct answer: 2. Dermatophytosis

Explanation: Ans is 'b' Dermatophytosis Dermatophytosis is superficial fungal infection of the skin.These infections are restricted to the invasion of homys structures, Stratum corneum, Nail & Hair.Tinea is group name for highly contagious mycelial fungus. There are 3 distinct genera in this group.1. Epidermophyton (No hair involvement)2. Microsporum (No Nail involvements)3. Trichophyton Tinea Capitis - is caused mainly by Trichophyton and microspora. The lesion produced are of 4 types.1. Scaly Type2. Kerion - usually caused by Trichophyton. Initially boil like lesions later painless boggy swellings are produced.3. Black dot4. Favus